what do you mean by Clergyman knee ?
1. Prepatellar bursa
2. Intrapatellar bursa
3. Olecranon
4. Ischial bursa

Correct answer: 2. Intrapatellar bursa

Explanation: It is also known as INFRAPATELLAR BURSITIS The swelling is below the patella and superficial to the patellar ligament,being more distally placed than prepatellar bursitis. Treatment:firm bandaging and kneeling is avoided;ocassionally aspiration is needed. sometimes the bursa is affected in gout. ref : maheswari 9th ed